Which one of the following statements is wrong regarding adult polycystic kidney disease -
1. Kidneys are enlarged in size
2. The presentation is unilateral
3. Intracranial aneurysms may be associated
4. Typically manifests in the 3rd decade

Correct answer: 2. The presentation is unilateral